A women consumes several tablets of amitryptiline leading to poisoning. All of the following can be done except
1. Sodium bicarbonate infusion
2. Gastric lavage
3. Diazepam to control seizure
4. Atropine as antidote

Correct answer: 4. Atropine as antidote

Explanation: D i.e. Atropine as antidote